Function of leptin is-
1. Reduce food intake
2. Stimulation of AgRP
3. Decrease lipolysis
4. All of the above

Correct answer: 1. Reduce food intake

Explanation: Ans. is 'a' i.e., Reduce food intake Leptin* Leptin is a protein hormone produced by fat cells. It acts on hypothalamus to reduce food intake, decrease lipogenesis and increase lipolysis, thereby reducing the body fat stores.* The effect of leptin on appetite is mediated through a-MSH (a-melanocyte stimulating hormone), a pro- opiomelanocortin (POMC) derivative. Leptin acts by increasing the synthesis of POMC which is converted into a-MSH. a-MSH acts through melanocortin-4 receptors to depress appetite.* Leptin also inhibits the secretion of Agouti-related peptide (AgRP), a neuropeptide that increases food intake.* Plasma leptin levels are proportional to the amount of body fat and are therefore higher in women and obese individuals.